Walsham's forceps are used to:
1. Remove teeth
2. Remove root
3. Clamp blood vessels
4. Reduce nasal bone fractures

Correct answer: 4. Reduce nasal bone fractures